Most sensitive and specific investigation for carcinoma breast is:
1. CT scan
2. Thermography
3. USG
4. Mammography

Correct answer: 4. Mammography

Explanation: Ans: dRef: Robbin's, 7th ed, p. 1072 & 6th ed, p. 1046